Which one of the following does not produce cyanosis in the first year of life?
1. Atrial septal defect
2. Hypoplastic left heart syndrome
3. Truncus arteriosus
4. Double outlet right ventricle

Correct answer: 1. Atrial septal defect

Explanation: a. Atrial septal defect(Ref: Nelson's 20/e p 2189, Ghai 8/e p 413)Apart from ASD, rest of the 3 heart diseases are cyanotic heart diseases.